Phagocytic cells in placenta are :
1. Hofbauer cells
2. Amniogenic cells
3. Hofmann cells
4. Uterine natural killer cells

Correct answer: 1. Hofbauer cells

Explanation: Hofbauer cells are round cells that are capable of phagocytosis and can trap maternal antibodies crossing through the placenta . These cells can express class || major histocompatibility complex molecules. Ref: Dutta Obs 9e pg 28.